A 35 year old female patient, Radha, having children aged 5 and 6 years has history of amenorrhea and galactorrhea. Blood examination reveals increased prolactin. The CT of the head is likely to reveal:
1. Pituitary adenoma
2. Craniopharyngioma
3. Sheehan's syndrome
4. Pinealoma

Correct answer: 1. Pituitary adenoma

Explanation: Patient with amenorrhea, galactorrhea and increased prolactin level give the diagnosis of prolactinoma which is the most common pituitary adenoma. Ref: Current Obs and Gynae Diagnosis and Treatment, 9th Edition, Page 152 ; Harrison's Principles of Internal Medicine, 14th Edition, Page 1989 and 17th Edition, Pages 2200, 2206